Cocket & Dodd's operation is performed for which one of the following ?
1. Sapheno femoral flush ligation
2. Subfascial ligation
3. Deep vein thrombosis
4. Diabetic foot

Correct answer: 2. Subfascial ligation

Explanation: Ref: BMJ 97 p314 Cockett and Dodd operation : Sub-fascial ligation of perforators Ref: www.ncbi.nlm.gov/pubmed/4855162